Hypercalcemia is associated with all of the following, except:
1. Sarcoidosis
2. Celiac disease
3. Milk alkali syndrome
4. Hyperparathyroidism

Correct answer: 2. Celiac disease

Explanation: Hypercalcemia can be caused by conditions such as hyperparathyroidism, malignancy, granulomatous diseases (TB, sarcoidosis), milk alkali syndrome, total parenteral nutrition, adrenal insufficiency, pheochromocytoma and by drugs (thiazides, vitaminA, anti estrogens). Celiac disease is not associated with hypercalcemia. Ref: Harrison's Internal Medicine, 18th Edition, Chapter 46; Textbook of Clinical Pediatrics By A. Y. Elzouk, Volume 1, Pages 1895-9